Which of the following is a contraindication for medical management of gallstones?
1. Radiopaque stones
2. Radioluscent stones
3. Normal functioning gallbladder
4. Small stones

Correct answer: 1. Radiopaque stones

Explanation: Medical Therapy for Gallstones Medical therapy for gallstones utilizes bile acids: Chenodeoxycholic acid (CDCA) and ursodeoxycholic acid(UDCA) Prerequisites for Medical Treatment Drawbacks of Medical Treatment Radioluscent (cholesterol) stones Stones <10mm in diameter Functioning GB Non-acute symptoms Low rates of complete resolution High recurrence rate Not cost-effective (expensive drug has to be taken for upto 2 years ) Need of maintenance therapy to prevent recurrence